Neisseria infection are associated with ?
1. Deficiency of early complements
2. Deficiency of late complements
3. There is no such association
4. Any deficiency can be associated

Correct answer: 2. Deficiency of late complements

Explanation: Ans. is `b' i.e., Deficiency of late complements